A patient presents with LMP 8 weeks ago. She has history of delayed cycles in the past. Which of the following is the most accurate way of dating the pregnancy?
1. Determination of uterine size on pelvic examination
2. Quantitative serum HCG level
3. Crown-rump length on abdominal or vaginal ultrasound
4. Determination of progesterone level along with serum HCG level

Correct answer: 3. Crown-rump length on abdominal or vaginal ultrasound

Explanation: CRL is the best USG parameter to determine gestational age in first trimester Crown rump length - it is the longest straight line measurement of the embryo from the other margin of cephalic pole to rump mid-sagittal plane with fetus in neutral , non fixed position - Best seen on TVS - Overall best USG parameter to assess the fetal age - Ideal time to measures CRL is 7 - 10 weeks - can be done upto 14 weeks